Amyloid deposits stain positively with all of the following except -
1. Congo-red
2. Crystal violet
3. Methenamine silver
4. Thioflavin T

Correct answer: 3. Methenamine silver

Explanation: Ans. is 'c' i.e. Methamine silver Staining Characteristics of Amyloid Stain used - Lugo/ 's iodine Appearance : Imparts purple colour, on addition of dilute sulfuric acid turns blue. Stain used - Hemotoxylin & Eosin Appearance - On light microscopy appear as extracellular homogeneous structureless eosinophillic hyaline material Stains used - Methyl violet and crystal violet Appearance - Rose pink coluration of amyloid deposits Stain used - Congo red Appearance - Ordinary light - Pink Polarised - Apple green birefringence light Staining Characteristics ofAmyloid Fluoroscent stains Stain used - Appearance - yellow under ultraviolet light Immunohistochemistry Stain used - various antibody stains agianst the specific antigenic protein types e.g. Anti AP, anti AA, anti Lambda, anti kappa Non specific stains Stain used Colour imparted Toluidine blue Alcian blue Periodic acid schiff Ohochromatic blue Blue green colour